Contraindications to MRgFUS uterine fibroid are all except
1. Myoma size >10cm
2. Vascular myomas
3. Uterine size > 24 weeks
4. Abdominal wall scars

Correct answer: 2. Vascular myomas

Explanation: Myomas with poor perfusion is contraindication to MRgFUS.